All of the following conditions are associated with hyperthyroidism, except:
1. Hashimoto's thyroiditis
2. Grave's disease
3. Toxic multinodular goiter
4. Struma ovary

Correct answer: 1. Hashimoto's thyroiditis

Explanation: Ans. (a) Hashiinoto's thyroiditisRef: Harrison 18th edition Page 1922* Thyroiditis will predominantly produce hypothyroidism.* De quervains is the only thyroiditis which will have early hyperthyroidism